Trichobezoar is -
1. Hair ball in stomach in psychiatric patient
2. Tumours of stomach
3. TB of bowel
4. Collection of worms in stomach

Correct answer: 1. Hair ball in stomach in psychiatric patient